James Lind is related to the discovery of:
1. Prevention of scurvy
2. Cause of scurvy
3. Pathogenesis of scurvy
4. All

Correct answer: 1. Prevention of scurvy

Explanation: ANSWER: (A) Prevention of scurvyREF: http: //en.wikipedia .org/wiki/James_LindJames Lind was a Scottish physician. He was a pioneer of naval hygiene in the Royal Navy. By conducting the first ever clinical trial, he developed the theory that citrus fruits cured scurvy. He argued for the health benefits of better ventilation aboard naval ships, the improved cleanliness of sailors' bodies, clothing and bedding, and below-deck fumigation with sulphur and arsenic. He also proposed that fresh water could be obtained by distilling sea water. His work advanced the practice of preventive medicine and improved nutrition.In his book 'Treatise of the Scurvy" (1753) James Lind did not decisively settle the questions of the causes and the treatment of scurvy, despite its presentation of experimental evidence that seemed to prove the efficacy of oranges and lemons in the cure of scurvied sea men.